All are true regarding Acute flaccid paralysis in National polio Eradication Programme- EXCEPT
1. Acute flaccid paralysis in a child <15 years of age
2. All cases of AFP should be reported irrespective of diagnosis within 6 months of onset stool
3. | Two specimens collected within 14 days of paralysis onset and at least 24 hours apart
4. 30 days follow up examination

Correct answer: 4. 30 days follow up examination

Explanation: (30 days follow up examination) (182-Park 20th)60- days Follow Up Examination - is done between 60th and 90th day in certain categories of AFP cases to determine the presence /absence of residual paralysis. The presence of residual paralysis at this time is further evidence that the cause of paralysis is likely to be due to polio virus. The 60th day follow up should not be done before the 60th day of onset of paralysis* All cases with AFP should be reported and their stools must be collected within 14 daysIf it is not possible to collect stool specimens within 14 days the specimens should still be collected upto 60 days after onset of paralysis (Field Guide-child health division, Department of Family Welfare Ministry of Health & Family Welfare New Delhi 3rd edition)